A patient presents with chronic small bowel diarrhea, duodenal biopsy shows villous atrophy. Anti endomysial antibodies and IgA TTG antibodies are positive. What is the treatment of choice?
1. Gluten free diet
2. Antibiotics
3. Loperamide
4. 5-ASA

Correct answer: 1. Gluten free diet

Explanation: Answer is A (Glutin free diet) Villous atrophy on duodenal biopsy together with positive serological tests for antiendomysial antibodies and IgA anti TTG antibodies suggests the diagnosis of celiac sprue. The mainstay of treatment for celiac sprue is administration of of a glutin free diet. 'Removal of all glutin from the diet is essential to therapy'. -- CMDT 'The most commit cause of persistant symptoms in a patient who fulfills all the criteria of diagnosis of celiac sprue is continued intake of gluten'. -- Harrison 16th